The thresholds for permanent sterility in women for prepubertal exposure and premenopausal exposure conditions are
1. 1 Gy and 0.2 Gy, respectively
2. 6 Gy and 2 Gy, respectively
3. 12 Gy and 2 Gy, respectively
4. 0.5 to 2 Gy and 20 Gy, respectively

Correct answer: 3. 12 Gy and 2 Gy, respectively

Explanation: In women, radiation is highly effective at inducing permanent ovarian failure, but there is a marked age dependence insensitivity. The dose required to induce permanent sterility varies from 12 Gy (1,200 rad) prepubertal to 2 Gy (200 rad) premenopausal. Pronounced hormonal changes, comparable to those associated with the natural menopause, accompany radiation-induced sterilization in females.Reference: Eric J Hall Textbook of Radiobiology for Radiologist; 5th edition